23 years old male had unprotected sexual intercourse with a commercial sex worker. Two weeks later, he developed a painless, indurated ulcer on the glans that exuded clear serum on pressure. Inguinal lymph nodes in both groins were enlarged and not tender. The most appropriate diagnostic test is:
1. Gram's stain of ulcer discharge
2. Dark field microscopy of ulcer discharge
3. Giemsa stain of lymph node aspirate
4. ELISA for HIV infection

Correct answer: 2. Dark field microscopy of ulcer discharge

Explanation: Ans. is 'b' i.e., Dark field microscopy of ulcer discharge (Ref: Harrison, 17th/e, p. 1384 ,18th/e, p. 1043 and19th/e, p. 1132; Ananthanarayan, 9th/e, p. 370)History is indicating towards syphilis and T. pallidum can be seen from ulcer discharge by using Dark field microscopy.